All of the following structures are derived from the aponeurosis of the external oblique muscle except:
1. Pectineal ligament
2. Inguinal ligament
3. Lacunar ligament
4. Linea semilunaris

Correct answer: 4. Linea semilunaris

Explanation: Linea semilunaris is derived from the aponneurosis of the internal oblique muscle. Ligaments derived from the external oblique aponeurosis are pectineal ligament, inguinal ligament, and lacunar ligament. Ref: Gray's Anatomy 41st edition Pgno: 1045